Urban malaria is due to
1. Anopheles culicifacies
2. Phlebotomus
3. Anopheles stephensi
4. Aedes

Correct answer: 3. Anopheles stephensi